A female patient Nandini presents with upper respiratory tract infection. Two days after, she develops hematuria. Probable diagnosis is -
1. IgA nephropathy
2. Wegener's granulomatosis
3. Henoch scholein purpura
4. Post streptococcal glomerulonephritis

Correct answer: 1. IgA nephropathy

Explanation: IgA nephropathy - The two most common presentations of IgA nephropathy are recurrent episodes of macroscopic hematuria during or immediately following an upper respiratory infection often accompanied by proteinuria or persistent asymptomatic microscopic hematuria . Treatment -ACE inhibitors, if there is persistent proteinuria despite using ace inhibitors, steroids and Immunosuppressants are given. Ref:Harrison 20 th edition pg no 2140